Which is not a part of the pupillary light reflex:
1. Lateral geniculate body
2. Pre-tectal area
3. Retina
4. Edinger-Westphal nucleus

Correct answer: 1. Lateral geniculate body

Explanation: A i.e. Lateral geniculate body